What are the requirements of a pontic:
1. Restore function.
2. Permit effective oral hygiene.
3. Preserve underlying residual mucosa.
4. All of the above.

Correct answer: 4. All of the above.

Explanation: The requirements of a pontic are:  
• Restore function
• Provide esthetics and comfort
• Biologically acceptable
• Permit effective oral hygiene
• Preserve underlying residual mucosa